Which of the following statements about mollaret meninigitis is true -
1. Caused by herpes simplex 2 in most of the cases
2. Is a recurrent, benign septic meningitis
3. Is also referred to as4 'Benign recurrent neutrophilic meningitis"
4. Does not resolve without treatment

Correct answer: 1. Caused by herpes simplex 2 in most of the cases

Explanation: Ans. is 'a1 i.e., Caused by herpes simplex 2 in most of the cases Recurrent (Mollaret 's ') meningitiso Mollaret s meningitis is a form of recurrent benign lymphocytic meningitis (RBLM), an uncommon illness characterized by greater than three episodes of fever and meningismus lasting two to five days, followed by spontaneous resolution.There is a large patient-to-patient variation in the time course to recurrence that can vary' from weeks to years.One-half of patients can also exhibit transient neurological manifestations, including seizures, hallucinations, diplopia, cranial nerve palsies, or altered consciousness.o The most common etiologic agent in Mollaret's meningitis is HSV-2